Level V cervical nodes includes:
1. Upper jugular nodes
2. Middle jugular nodes
3. Lower jugular nodes
4. Posterior triangle nodes

Correct answer: 4. Posterior triangle nodes

Explanation: Ans. D: Posterior triangle nodes Location of cervical nodes may be divided as follows: Level I: Submental and submandibular nodes - Level Ia: Submental triangle - Level Ib: Submandibular triangle Level II: Upper jugular/cervical nodes Level III : Middle jugular/cervical nodes Level IV: Lower jugular/cervical nodes